A 35 year old woman presents with a history of erythematous papulopustular lesions on the face. She reports diffuse redness on her cheeks. The most likely diagnosis in the patient is-
1. Acne vulgaris
2. Rosacea
3. Atopic dermatitis
4. Seborrheic dermatitis

Correct answer: 2. Rosacea

Explanation: Rosacea has flushing episodes with telangiectasia (Erythemato-telangiectatic variant) Later due to inflammation, there is papules/pustules/Rhinophyma
Acne will have comedones and no redness. Atopic dermatitis has itching and eczematous eruptions while seborrheic dermatitis will have scaling (yellow greasy) on seborrheic areas with itching